Colonoscopy was done for a patient who was suffering from recurrent episodes of abdominal pain and low volume diarrhea since six months. Colonoscopy showed many areas of mucosal edema and ulceration and some areas appeared normal. Microscopy of biopsy specimen from an ulcerated ared  showed patchy acute and chronic inflammatory  infiltrate , crypt abscesses and non caseating granulomas . What could be the probable diagnosis ?
1. Crohns disease
2. Sarcoidosis
3. Ulcerative collitis
4. Amoebiasis

Correct answer: 1. Crohns disease

Explanation: Skip lesions are very characteristic of crohns disease. Generally, Crypt abscesses are more typical of ulcerative colitis, and granulomas are typical of crohn disease, but these  are not very common.